The substances present in the gall bladder stones or the kidney stones can be best identified by the following techniques -
1. Flourescence spectroscopy
2. Electron microscopy
3. Nuclear magnetic resonance
4. X - ray diffraction

Correct answer: 4. X - ray diffraction